Breast cancer mainly spreads to the vertebrae
1. Arterial route
2. Direct Invasion
3. Batsons venous plexus
4. Via Axillary lymph nodes

Correct answer: 3. Batsons venous plexus

Explanation: Answer- C. Batsons venous plexusMetastasis of breast cancer to bone, and especially to thoracic vertebrae, is common due to the direct connection between the intercostal veins draining the breast and the internal vertebral plexus ako known as Batson's plexus.